Median rhomboid glossitis is seen in?
1. Candidiasis
2. AIDS
3. Chronic kidney disease
4. Mouth breathers

Correct answer: 1. Candidiasis

Explanation: Median Rhomboid glossitis - - characterised by presence of redness and area of loss of lingual papilla on dorsum of tongue - usually seen among smokers and pt.'s using inhaled steroids - it is characterised by chronic atrophic oral Candidiasis